For transplantation, cornea can be removed from dead body upto
1. 6 hours
2. 12 hours
3. 18 hours
4. 24 hours

Correct answer: 1. 6 hours

Explanation: Time of molecular death in different tissues varies with each tissue.
Maximum time of removal of organs for transplantation -

Brain 5-7 minutes
Liver 15 minutes
Kidney 45 minutes
Heart 60 minutes
Cornea 6 hours
Bone 48 hours
Vessels 72 hours